Heart is fully developed at which age of intrauterine life ?
1. 3rd month
2. 4th month
3. 5" month
4. 6" month

Correct answer: 1. 3rd month

Explanation: Ans. is 'a' i.e., 3rd month